A newborn child is presenting with regurgitation of all feeds and, develops coughing and cyanosis with feeding. Most probable diagnosis is
1. CHPS
2. Esophageal atresia
3. Hirschsprug disease
4. Achalasia

Correct answer: 2. Esophageal atresia

Explanation: Answer-B. Esophageal atresiaEsophageal atresia is the most common congenital anamoly of the esophagus.More than goT are associated with tracheo esophageal fistula.The most common variety is the one where upper part of esophagus ends blindly and the lower part is connected to trachea by a fistula, TEF should be suspected in all cases of hydroamnion.There may be associated anomalies + VACTERL (vertebral, anorectal, cardiac, tracheal, esophageal, renal, radial, limb) syndrome.